Morula reaches uterus at
1. 3rd day after fertilization
2. 4th day after fertilization
3. 6th day after fertilization
4. 8th day after fertilization

Correct answer: 2. 4th day after fertilization

Explanation: Morula is 16 cell structure and reaches uterus by 4th day of fertilisation. Soon divisions occurs and blastocyst is formed which is 64 celled structure by day 6.